In anterior spinal artery syndrome which of the following is spared
1. Posterior columns
2. Lateral spinothalamic tract
3. Anterior spinothalamic tract
4. Corticospinal tract

Correct answer: 1. Posterior columns

Explanation: (A) Posterior columns # ANTERIOR SPINAL ARTERY SYNDROME> Infarction of the cord is generally the result of occlusion or diminished flow in this artery.> The result is extensive bilateral tissue destruction that spares the posterior columns.> All spinal cord functions--motor, sensory, and autonomic--are lost below the level of the lesion, with the striking exception of retained vibration and position sensation.